Bennett's fracture is fracture dislocation of base of metacarpal :
1. 4th
2. 3rd
3. 2nd
4. 1st

Correct answer: 4. 1st

Explanation: Benett's fracture is an intra - articular fracture dislocation of the palmar base of first metacarpal bone of the thumb with either subluxation or dislocation of first carpometacarpal joint, i.e. trapezometacarpal joint.